Argyll-Robertson pupil is seen in:
1. Homer's syndrome
2. Retrobulbar optic neuritis
3. Diabetes
4. Neurosyphilis

Correct answer: 4. Neurosyphilis

Explanation: Ans. D: Neurosyphilis Light-near dissociation occurs in Argyll-Robertson pupil. It is seen in Tertiary Syphilis (Tabes dorsalis, Taboparesis) Pupil constriction on accommodation is either normal or exaggerated whereas pupillary light reaction is sluggish. There is weak or absent constriction to light, constriction not improved after dark adaptation and fails to dilate after painful stimulation elsewhere.